Chandu, a one year old child should be admitted in hospital for following complains except –
1. Refusal of feed
2. Respiratory rate of 50 per minute with chest retraction
3. Fever 39°C
4. Difficulty in waking

Correct answer: 3. Fever 39°C

Explanation: A sick child is classified as having Very severe Respiratory Disease U. he shows any of the following signs :
( 2 months to 5 years) :

Not able to drink
Convulsion
Abnormally sleepy or difficult to wake
Stridor in a calm child.
Severe malnutrition 

Also, the most important signs to consider if a child has pneumonia are  :

Child's Respiratory Rate :          - Fast breathing is present when the R.R. is -

60 breaths/min or more in a child less than 2 months of age
50 breaths / min or more in a child aged 2 months to 12 months
40 breaths / min or more in a child aged 12 months to 15 years
2. Chest In-drawing :
A child with very severe disease or with severe pneumonia needs to be referred urgently to the hospital. In the question above, child is 1 year of age, and hence, fever is not used as a criteria for classifying the disease as severe (which is used as a criteria in infants < 2 months of age)
Also, respiratory rate of 50 here is significant in accordance with the age (for a child < 12 months old, it would have been normal).